Nucleus ambiguous doesn't include
1. 7th nerve nucleus
2. 9th nerve nucleus
3. 10th nerve nucleus
4. 11th nerve nucleus

Correct answer: 1. 7th nerve nucleus

Explanation: The nuclei of facial nerve are located in the pons.Nucleus ambiguous is an elongated column of typical motor neurons extending throughout the medulla.The fibres from nucleus ambiguous supplies muscles derived from 3,4 and 6 branchial arches. Cells in nucleus ambiguous contain motor neurons associated with three cranial nerves (rostral pole -C.N. IX glossopharyngeal; middle part -C.N. X vagus; caudal pole -C.N. XI spine accessory).(Ref: Vishram Singh textbook of clinical neuroanatomy second edition pg 94)